A man having multiple, painful, indurated, undermined, sloughed edged glans which occurred 5 days after exposures; most likely diagnosis is –
1. Chancroid
2. Primary chancre
3. Herpes genitalis
4. LGV

Correct answer: 1. Chancroid

Explanation: Step 1

Painful ulcer → Chancroid or HSV.

Step 2

In the question, there is no information about step 2 → suppurative lymphadenopathy, U/L or B/L lymphadenopathy, presence or absence of vesicle.
So go for step - 3.

Step 3

Induration (+)nt → Chancroid
Undermined sloughed edges → Chancroid